All are major criteria for Jones classification EXCEPT
1. Carditis
2. Arthritis
3. Erythema marginatum
4. Erythema multiformae

Correct answer: 4. Erythema multiformae

Explanation: (Erythema-multiformae): Ref: 377-G (380-Ghai 7th)JONES CRITERIA FOR RHEUMATIC FEVERMajor CriteriaMinor Criteria1. Carditis2. Arthritis3. Subcutaneous nodules4. Chorea5. Erythema marginatumEssential CriteriaEvidence for recent streptococcal infection as indicated by(a) Increased antistreptolysin 'O' titer(b) Positive throat culture(c) Recent scarlet fever Clinical(I) Fever(II) Arthralgia(III) Previous rheumatic heart disease Laboratory(I) Acute phase rectants reactants, leucytosis, |ESR and CRP(II) Prolonged PR interval in the ECG* Two major or one major and two minor criteria are required in the presence of essential criteria to diagnose acute rheumatic lever